True about N2O –
1. Good muscle relaxant
2. Low potency and good analgesia
3. High potency and poor analgesia
4. None

Correct answer: 2. Low potency and good analgesia

Explanation: N2O is least potent (MAC = 105%).
It has a good analgesic but poor muscle relaxant activity.